Most radiosensitive brain tumour is -
1. Ependymoma
2. Medulloblastoma
3. Glioblastoma multiforme
4. Astrocytoma

Correct answer: 2. Medulloblastoma